Pseudogestational sac is seen in ultrasonography is suspicious of
1. Missed abortion
2. Incomplete abortion
3. Ectopic pregnancy
4. Complete abortion

Correct answer: 3. Ectopic pregnancy

Explanation: Anechoic fluid collections, which might normally suggest an early intrauterine gestational sac, may also be seen with ectopic pregnancy. These include pseudogestational sac and decidual cyst.A pseudosac is a fluid collection between the endometrial layers and conforms to the cavity shape. If a pseudosac is noted, the risk of ectopic pregnancy is increased Reference: William's Obstetrics; 25th edition; Chapter 19; Ectopic pregnancy